Tissue biopsy for histopathological examination should be sent in:
1. Normal saline
2. Formalin
3. Rectified spirit
4. Saturated solution of saline

Correct answer: 2. Formalin

Explanation: Ans. Formalin